The effective temperature of 'comfort zone is%
1. 25-26.9deg C
2. 27-29deg C
3. < 19degC
4. 19-23deg C

Correct answer: 1. 25-26.9deg C

Explanation: Arm. is 'a' i.e 25-26.90 C